In twin pregnancy, Vaginal delivery is contraindicated in
1. Monochorionic monoamniotic
2. First twin vertex, 2nd breech
3. Second twin transverse
4. First twin Mentoanterior

Correct answer: 1. Monochorionic monoamniotic

Explanation: Monoamniotic twins are at a great risk of developing cord accidents like entanglement which can lead to sudden fetal death. Therefore all monoamniotic twins have to be delivered by a Cesarean sections between 32-34 weeks , after ensuring lung maturation